A 25-year-old patient came to medicine OPD with complaints of sore throat and a slightly itchy rash. On examination, pharyngeal erythema with bilateral tender cervical lymphadenopathy is noted. Throat swab is sent for microbiological examination. Peripheral blood film revealed the following finding. Which of the following malignant conditions are not associated with the above infection?
1. Hodgkin disease
2. Burkitt's lymphoma
3. Nasopharyngeal carcinoma
4. B cell lymphoma (immunocompetent patient)

Correct answer: 4. B cell lymphoma (immunocompetent patient)

Explanation: The clinical scenario and atypical lymphocytosis on PBF or a diagnosis of EBV infection. It is the cause for heterophile positive infectious mononucleosis. It is also associated with few tumours like Hodgkin disease, Burkitt's lymphoma, nasopharyngeal CA and b cell lymphoma in patients with immunodeficiency.